Cavernous sinus contains:
1. Internal carotid artery
2. Anterior cerebral artery
3. Middle cerebral artery
4. Ophthalmic artery

Correct answer: 1. Internal carotid artery

Explanation: Ans: a (Internal carotid artery)Ref: Chaurasia, 3rd edi., Vol-3 Pg.73Structures passing through the centre of the cavernous sinus.* Internal carotid artery* Abducent nerveFig: Cavernous sinusStructures in the lateral wall of the sinus* Oculomotor nerve* Trochlear nerve* Ophthalmic nerve* Maxillary nerve* Trigeminal ganglionThese structures are separated from blood by endothelial lining of the sinus.